Senile cardiac amyloidosis is due to deposition of amyloid which is similar to
1. Beta, microglobulin
2. Transthyretin
3. ANP
4. Pyrin120

Correct answer: 2. Transthyretin

Explanation: Transthyretin Senile systemic amyloidosis It refers to systemic deposition of amyloid in elderly patients (usually in their seventies and eighties) Because of the dominant involvement and related dysfunction of the heart this form was previously called senile cardiac amyloidosis. The amyloid protein deposited in this form is the "transthyretin amyloid protein". We have earlier discussed that the transthyrefin protein deposited in amyloidosis is formed as a result of mutation, but the transthyretin deposited in senile cardiac amyloidosis is structurally normal. Transthyretin is a normal serum protein that hinds and transport thyroxine and retinol hence the name transthyretin.